Most common pox virus infection in human is ?
1. Smallpox
2. Monkeypox
3. Cowpox
4. Mulluscum contagiosum

Correct answer: 4. Mulluscum contagiosum

Explanation: Ans. is 'd' i.e., Mulluscum contagiosum Among the given options, smallpox (variola) virus and molluscum contagiosum affect human as their primary host. Small pox has been eradicated. Molluscum contagiosum is a common skin infection.